Which of the following is not true about acute retropharyngeal absess:
1. Dysphagia
2. Swelling on posterolateral wall
3. Torticollis
4. Caries of cervical spine is usually a common cause

Correct answer: 4. Caries of cervical spine is usually a common cause

Explanation: M/C cause acute retropharyngeal abscess in children is suppuration of retro pharyngeal lymphnodes secondary to infection of adenoids, nasopharynx and nasal cavity. The M/C cause of acute retropharyngeal abscess in adutls is penetrating injury of posterior pharyngeal wall or cerivcal esophagus.